Pro inflammatory cytokines include all of the following except
1. IL1
2. IL 10
3. IL 6
4. TNF Alpha

Correct answer: 2. IL 10